Pyknolepsy is seen in?
1. Lennox Gastaut syndrome
2. Absence seizure
3. Narcolepsy
4. Adrenoleukodystrophy

Correct answer: 2. Absence seizure

Explanation: Pyknolepsy describes a patient with recurrent attacks of Petit mal /Absence seizures. It should be treated similar to status epilepticus involving Petit mal seizures.